Pustular Psoriasis reaching term, DOC is :
1. Dapsone
2. Methotrexate
3. Benzoyl peroxide
4. Prednisone

Correct answer: 4. Prednisone

Explanation: First line treatment is with oral prednisone, cyclosporine, infliximab and topical corticosteroids. Pustular psoriasis typically resolves quickly in the puerperium but recurrence can occur.